Trachoma is caused by which of the following serotypes of chlamydia
1. D - K
2. L1- L3
3. L5 - L7
4. A, B,Ba, C

Correct answer: 4. A, B,Ba, C

Explanation: CHLAMYDIAE TRACHOMATIS causative agent of endemic blinding trachoma which is a chronic keratoconjunctivitis characterised by follicular hypertrophy,papillary hyperplasia,pannus formation and in late stages,cicatrisation caused by A,B,Ba,C, serotypes of C.trachomatis whereas serotypesD_K cause other diseases like inclusion conjunctivitis,genital chlamydiasis,infant pneumonia Ref:Ananthanarayan and paniker's microbiology 10th edition